A person is said to be mentally retarded when IQ is-
1. < 100
2. <90
3. <80
4. <70

Correct answer: 4. <70

Explanation: Ans. is 'd' i.e., < 70 o Normal IQ- 90-109;o Borderline IQ- 70-89;o Mild mental retardation IQ- 50-69;o Moderate mental retardation IQ- 35-49;o Severe MR IQ- 20-34;o Profound MR IQ- 0-19.